Wrist drop is seen with ?
1. Radial nerve palsy
2. Median nerve palsy
3. Ulnar nerve palsy
4. Posterior interosseous nerve palsy

Correct answer: 1. Radial nerve palsy

Explanation: Ans. is 'a' i.e., Radial nerve palsy